Which incisor has 2 canals most commonly
1. Lower Lateral incisor
2. Lower central incisor
3. Upper central incisor
4. Upper Lateral incisor

Correct answer: 1. Lower Lateral incisor